Blister formation in burn case is in :
1. Intraepidermal
2. Subepidermal
3. Subdermal
4. Subfascial

Correct answer: 2. Subepidermal

Explanation: B. i.e. Sub epidermal